The appearance of cobweb formation in CSF indicates _________
1. Pyogenic meningitis
2. Viral meningitis
3. Tuberculous meningitis
4. Fungal meningitis

Correct answer: 3. Tuberculous meningitis

Explanation: - Cob web coagulum formation in CSF is a feature of Tuberculous meningitis. Other features of CSF study in tuberculous meningitis are: Opening pressure- elevated Cell count - 500/mm3 (lymphocytic predominance) Elevated proteins & Low glucose